Thanatology is?
1. Study of death
2. Solving paternity of the child
3. sexual crime investigation
4. Detection of race

Correct answer: 1. Study of death

Explanation: Ans. is 'a' i.e., study of death o Thanatoiogy is the branch of science which deals with study of death. It deals with death in all aspects.